Which of the following immunosuppressive agent requires monitoring of renal function on regular basis?
1. Azathioprine
2. Mycophenolate mofetil
3. Methotrexate
4. Cyclosporine A

Correct answer: 4. Cyclosporine A

Explanation: Ans. is 'd' i.e., Cyclosporine A Cyclosporine:o It is an immunosuppressanto Its immunosuppressive actions are1. Inhibition of T-lymphocyte proliferation 2. Inhibition of IL-2 and other cytokineso Cyclosporine inhibits transcription by binding to a protein called cyclophilin. This complex then inactivates calcineurin. (Calcineurin is a protein which is responsible for the transcription of cytokine gene)o Cyclosporine selectively suppresses cell mediated immunity, humoral immunity remains intact,o Cyclosporine is the most effective drug for prevention and treatment of graft rejectiono Major side effects of cyclosporine is Nephrotoxicityo BP, precipitation of diabetes, anorexia, lethargy, hyperkalaemia, opportunistic, infections, hirusitism, gum hyperplasia, tremor, seizures are other side effects.o Sirolimus aggrevates cyclosporine induced renal dysfunction whereas cyclosporine increases sirolimus induced hyperlipidemia and myelosuppression.